Which part of ICA does not give any branch?
1. Cervical
2. Petrous
3. Cavernous
4. Cerebral

Correct answer: 1. Cervical

Explanation: In the neck, the internal carotid artery gives no branches. The cervical part ascends upwards from its origin to base of skull to reach the lower end of carotid canal and lies in front of transverse processes of vertical vertebrae. The cervical part is enclosed in the carotid sheath along with internal jugular vein and vagus nerve. The lower part is superficial and located in the carotid triangle.The branches of the petrous part are caroticotympanic and pterygoid branchesThe cavernous part's branches are cavernous and superior and inferior hypophyseal arteries.The cerebral part's branches are ophthalmic, anterior choroidal, posterior communicating and the terminal branches are anterior and middle cerebral arteries.Reference: Textbook of anatomy, Head neck, and brain, Vishram Singh, 2nd edition, page no.240,241